Death sentence can be awarded by
1. First class magistrate
2. Cheif judicial magistrate
3. Second class magistrate
4. Sessions court

Correct answer: 4. Sessions court

Explanation: The sessions court is usually located at district headquarters. It can only try cases which have been committed by a Magistrate S.193, Cr.P.C. It can pass any sentence authorised by law, but a Death sentence passed by it must be confirmed by the High court.S.28.(2) and S.366, Cr.P.C. District Court deals with civil cases REF: The Synopsis of Forensic Medicine and Toxicology 28th edition page no: 4.